All of the following are true about methanol poisoning except:
1. Fomepizole is a competitive inhibitor of aldehyde dehydrogenase
2. Toxic level of methanol is 1.25 gm/kg body weight
3. Formic acid is mainly responsible for toxicity
4. Methanol causes obscured snowy vision

Correct answer: 1. Fomepizole is a competitive inhibitor of aldehyde dehydrogenase

Explanation: Answer- A. Fomepizole is a competitive inhibitor of aldehyde dehydrogenaseFomepizole is a competitive inhibitor of atdehyde dehydrogenase (Ref: Reddv 33/e p582, 3l/e p387)Fomepizole is a specific inhibitor of alcohol dehydrogenase, not the aldehyde dehydrogenase.